Which of the following is not a branch of Arch of aorta ?
1. Branchiocephalic trunk
2. Left subclovion artery
3. Left common carotic artery
4. Right subclavian artery

Correct answer: 4. Right subclavian artery

Explanation: Ans. is 'd' i.e., Right subclavian artery